Acid susceptible penicillin is?
1. Methicillin
2. Ampicillin
3. Amoxicillin
4. Cloxacillin

Correct answer: 1. Methicillin